Cubital tunnel syndrome involves:
1. Radial nerve
2. Ulnar nerve
3. Median nerve
4. Axillary nerve

Correct answer: 2. Ulnar nerve

Explanation: Ans. B i.e. Ulnar nerve When the ulnar nerve compression occurs at the elbow, it is called "cubital tunnel syndrome."